Superior gluteal nerve does not supply ?
1. Tensor fasciae latae
2. Gluteus medius
3. Gluteus minimus
4. Gluteus maximus

Correct answer: 4. Gluteus maximus

Explanation: Ans. is 'd' i.e., Gluteus maximus Nerve supplying muscles of gluteal region are :- i) Inferior gluteal nerve : Gluteus maximus. ii) Superior gluteal nerve : Gluteus medius and minimus. iii) Nerve to piriformis : Piriformis iv) Nerve to obturator internus : Obturator internus, Gemellus superior. v) Nerve to quadratus femoris : Quadratus femoris, Gemellus inferior. Tensor fascia latae is supplied by superior gluteal nerve.